Purkinje cells from the cerebellum end in:
1. Extrapyramidal system
2. Cranial Nerve Nuclei
3. Cerebellar Nuclei
4. Cerebral Cortex

Correct answer: 3. Cerebellar Nuclei

Explanation: Ans. C. Cerebellar NucleiCerebellar cortex consists of the following three distinct layers:a. Outer molecular layer.b. Intermediate Purkinje cell layer.c. Inner granular layer.Purkinje cells are large flask shaped cells. The outgoing Purkinje axons constitute the sole output from the cerebellar cortex and exert an inhibitory influence on the intracerebellar nuclei.